"Michael Guttaman" Bodies are seen in:
1. Malakoplakia
2. Nail Patella syndrome
3. Leukoplakia
4. Pyelonephritis

Correct answer: 1. Malakoplakia

Explanation: Malakoplakia